In hypoglycemia, which hormone does not increase-
1. Insulin
2. Cortisol
3. Glucagon
4. Epinephrine

Correct answer: 1. Insulin

Explanation: Ans. is 'a' i.e., Insulin o Question is very simple, and can be solved by two approaches :- Approach-1o In hypoglycemia, there is increased secretion of hormones which raise blood sugar, e.g. cortisol (glucocorticoids), glucagon, epinephrine and norepinephrine,o insulin secretion is increased by hyperglycemia, as it decreases blood sugar level.Approach-2o Hypoglycemia is a stress.o Hormones with increased secretion during stress :- ACTH, cortisol, GH, catecholamines (epinephrine, norepinephrine), thyroxine, ADH (vasopressin), glucagon, renin, angiotensin II, aldosterone.o Hormones with decreased secretion during stress Insulin, pituitary gonadotropin (FSH. LH).